11 hydroxylase deficiency leads to
1. Hypertension
2. Hypotension
3. Hypoglycemia
4. Normal puberty

Correct answer: 1. Hypertension

Explanation: Seen in Newborns and infants, Virilization and the presence of both hypertension and hypokalemia. 11 -deoxycortisol, 17a-hydroxyprogesterone, urinary 17- ketosteroids, and 17-hydroxycorticosteroids are increased. Blood levels and production rates of cortisol are usually within normal limits. Physiologic replacement doses of glucocorticoid, such as hydrocortisone or dexamethasone, restores blood pressure to normal levels, corrects K+ depletion, Addition of estrogen-progestogen combined cyclic therapy may be necessary in the adult patient with 17a- hydroxylase deficiency. Reference: GHAI Essential pediatrics, 8th edition